Which of the following is false about Anaphylactic Blood transfusion?
1. Different from allergic reactions
2. The reaction is seen after few ml of transfusion itselt
3. Washed blood products prevent it
4. Occurs in IgG deficeient persons

Correct answer: 4. Occurs in IgG deficeient persons

Explanation: .Most cases of anaphylaxis due to blood transfusion are reported in recipients with IgA deficiency who developed anti-IgA and whose transfused product contains donor plasma with a normal content of IgA.